A 45yr old man presented to the OPD dysphagia to both solid and liquids Esophageal manometry was performed = it revieled premature contraction with >20 % wet swallows and abnormally increased Lower esophageal pressure of >450mm hg
1. Type 1 achalasia
2. Type 2 achalasia
3. Type 3 achalasia
4. Jackhammer esophagus

Correct answer: 3. Type 3 achalasia

Explanation: ref : bailey and love 27th ed.